Central line may be inserted in all of the following veins except -
1. Internal Jugular vein
2. Femoral Vein
3. Subclavian Vein
4. Common iliac vein

Correct answer: 4. Common iliac vein

Explanation: Ans. is 'd' i.e., Common iliac vein Common sites of central line insertiona) Internal jugular veinb) Subclavian veinc) Axillary veind) Femoral veinPICC lineo A peripherally inserted central catheter, or PICC line (pronounced "pick"), is a central venous catheter inserted into a vein in the arm (via the basilic or cephalic veins) rather than a vein in the neck or chest. The tip is positioned in the superior vena cava.